Phrynoderma is a cutaneous manifest-ation of severe deficiency of vitamin :
1. A
2. B
3. C
4. D

Correct answer: 1. A

Explanation: A i.e. A